All are extracranial complications of CSOM except?
1. Citelli abscess
2. Ilezold abscess
3. Perisinus abscess
4. Luc abscess

Correct answer: 3. Perisinus abscess

Explanation: Ans: c (Perisinus abscess) Ref: Dhingra, 3rd ed, 109; 4th ed, p. 77All the given abscess are extracranial location except perisinus abscess, which is located in relation to lateral sinus, an intracranial structure.Perisinus abscess: Abscess formed in relation to outer dural wall (sigmoid sinus/lateral sinus). Bony dural plate may remain intactOutcomes or It may be destroyed by coalescent bone erosion & cholesteatomaComplications of CSOMExtracranialIntracranialMastoiditisExtradural abscessPetrositisSubdural abscessLabrynthitisBrain abscessFacial nerve paralysisMeningitis Lateral sinus thrombosis Otitic hydrocephalausAbscess seen in relation to mastoid1. Post auricular abscess - commonest abscess over mastoid2. Zygomatic abscess3. Bezold abscess-following a/c coalescent mastoiditis when pus breaks through the thin medial side of tip of mastoid.4. Meatal abscess (Luc abscess) -Pus breaks through the bony wall between antrum and external osseous meatus.5. Citellis abscess-Behind the mastoid (Remember post auricular abscess is formed over the mastoid)6. Parapharyngeal abscess & retropharyngeal abscesses.